A patient presents with postmenopausal bleeding . Endometrial biopsy should be done if endometrial thickness is more than?
1. 3 mm or more
2. 5 mm or more
3. 7 mm or more
4. 8 mm or more

Correct answer: 2. 5 mm or more

Explanation: Endometrial biopsy in a menopausal female presenting with post menopausal bleeding is required if Endometrial Thickness is equal to or more than 5 mm on TVS. Endometrial thickness >= 4mm ( American guidelines ) ET >= 5mm ( International federation of obstetricians and gynecologists: FIGO )